Rupture of membranous Urethra occurs more commonly due to -
1. Thin unsupported wall
2. Fixity of Urethra
3. Angulation
4. Proximity to bladder

Correct answer: 2. Fixity of Urethra

Explanation: Ans. is 'b' i.e., Fixity of Urethra